Which of the following antihypertensive agents in most likely to cause an exaggerated response to an injected catecholamine?
1. Propranolol
2. Hydralazine
3. A thiazide diuretic
4. Gauanethidine

Correct answer: 4. Gauanethidine